Angiotensinogen is produced by
1. Liver
2. Kidney
3. Hypothalamus
4. Atrium

Correct answer: 1. Liver

Explanation: Angiotensiogen is produced in liver and is converted into AT1 by RAAS mechanism Ref: guyton and hall textbook of medical physiology 12 edition page number:489,490,491